Best treatment for women with bilateral tubal block to become pregnant is -
1. IVF
2. IUI
3. Surrogacy
4. Ovulation induction with IUI

Correct answer: 1. IVF

Explanation: Ans. is 'a' i.e., IVF o In a woman with bilateral tubal block, IVF is a good option for achieving pregnancy.o Surrogacy can be an option for childbirth but it is usually preferred in women with pathological uterus as wello IUI cannot be done in such women because IUI requires normal ovulation and functioning tubes, it only bypasses the cervical factor of infertility.